Hung up reflex is seen in-
1. Chorea
2. Cerebral palsy
3. Athetosis
4. None

Correct answer: 1. Chorea

Explanation: Ans. is 'a' i.e. ChoreaHung up knee ierko When patellor tendon is tapped while the foot is hanging free, the leg may be held in extension for few seconds before relaxing owing to prolonged contraction of quadriceps.o This is seen in "chorea".Other neurological signs associated with chorea -o Milkmaids gripo Piano signo HandwritingMilkmaid's gripo Inability to maintain sustained voluntary contraction of muscle group at a constant level.o Inability to apply steady pressure during handshake leading to a characteristic squeeze and release of grip.o Patients have difficulty1 maintaining sustained eyelid closure and sustained tongue protrusion.